Which model of DNA was discovered by Watson and Crick
1. A- DNA
2. B- DNA
3. C-DNA
4. Z- DNA

Correct answer: 2. B- DNA

Explanation: Most common form.Right handed double helix.Highly flexible.Watson and Crick model describes the B- form of DNA.